Magistrate inquest not required in
1. Suspicious death
2. Exhumation
3. Police custody death
4. Dowry death

Correct answer: 1. Suspicious death

Explanation: Magistrate's inquest is an inquest conducted by a District Magistrate, Sub-Divisional Magistrate, and magistrate of the first class rank or any other magistrate as empowered by the State Government, such as Collector, Deputy Collector or Tehsildar (Executive Magistrates). An inquiry by Magistrate into cause of death dealt by Sec. 176 CrPC. Special Magistrate's inquest is held in cases of: Deaths in prison/police custody/police interrogation/police firing Death in a psychiatric hospital Rape alleged to have been committed on any woman in the custody of the police Exhumation cases Alleged dowry death (suicide/death of a woman within 7 years of marriage) In all cases where the police normally conduct inquests, the magistrate can hold an additional inquest, or in place of the police inquest. Ref: Krishnan vij Textbook of Forensic Medicine and Toxicology; 5th ed; Page no: 7